Which of the following is a homopolysaccharide-
1. Heparin
2. Chitin
3. Hyaluronic acid
4. Chondroitin sulfate

Correct answer: 2. Chitin

Explanation: Ans. is 'b' i.e., Chitin o Polysaccharides are classified into -Homopolysaccharides (Homoglycans) This type of polysaccharide is made up of several units of same monosaccharide unit only. Examples are starch (multiple units of glucose), glycogen (multiple units of glucose), cellulose (multiple units of glucose), Inulin (multiple unit of fructose), Dextrin, Dextran (multiple units of glucose), and chitin.Heteropolysaccharides (Heteroglycans) This type of polysaccharide contains two or more different types of monosacharide units. Examples are heparin, heparan sulfate, chondroitin sulfate, dermatan sulfate, hyaluronic acid, keratan sulfate and blood group polysaccharides.